All of the following are the classical presentation of Cranioverebral junction anomalies except
1. Pyramidal signs
2. Low hairline
3. Short neck
4. Pupillary asymmetry

Correct answer: 4. Pupillary asymmetry

Explanation: . Pupillary asymmetry